In the adrenal gland, androgens are produced by the cells in the -
1. Zona glomerulosa
2. Zona reticularis
3. Zona fasciculata
4. Medulla

Correct answer: 2. Zona reticularis